The local anaesthetic with the longest duration of action is
1. Procaine
2. Chlorprocaine
3. Lignocaine
4. Dibucaine

Correct answer: 4. Dibucaine

Explanation: Longest acting, most potent and most toxic local anaesthetic is dibucaine.Chloroprocaine is the shortest acting local anaesthetic.